Down beat nystagmus is seen in?
1. Arnold chiari malformation
2. Brain stem damage
3. Pontine hemorrhage
4. Labyrinthine damage

Correct answer: 1. Arnold chiari malformation

Explanation: Ans. is 'a' i.e., Arnold chiari malformation Down-beat nystagmus are seen in cerebellar lesion and Arnold-chiary malformation